The cresent forming glomerulonephritis is ?
1. RPGN
2. Acute GN
3. Membranous GN
4. Membrano proliferative GN

Correct answer: 1. RPGN

Explanation: Ans. is 'a' i.e., RPGN